Frothy discharge with red ulceration in the vagina is seen with infection of :
1. Trichomoniasis
2. Moniliasis
3. Chlamydia
4. Bacterial vaginosis

Correct answer: 1. Trichomoniasis

Explanation: Trichomoniasis